All of the following may be acceptable operative approaches to management of the thoracic outlet syndrome except:
1. Scalenectomy
2. Excision of a cervical rib
3. Thoracoplasty
4. First rib resection

Correct answer: 3. Thoracoplasty

Explanation: Supraclavicular decompression of the thoracic outlet is the preferred operative approach for the thoracic outlet syndrome. This procedure consists of extensive anterior scalenectomy, middle scalenectomy, removal of a cervical rib (if present), and, on occasion, first rib resection. Transaxillary first rib resection has been widely used as well but is associated with a greater risk for complications.